Which of the following is assosciated with poor prognosis in Ewings sarcoma DELETE
1. B2 microglobulin
2. Fever
3. Thrombocytosis
4. Young age

Correct answer: 2. Fever

Explanation: Fever,anemia and elevation of laboratory values have been reported to indicate more extensive disease and a worse diagnosis Refer Campbells orthopedic 13th/e p 953